Drugs producing ototoxicity and Nephro toxicity are:
1. Tetracyclines
2. Aminoglycosides
3. Quinolones
4. Macrolides

Correct answer: 2. Aminoglycosides